Cochlear implant used in
1. Sensorineural deafness
2. Conductive deafness
3. Mixed deafness
4. Absent pinna

Correct answer: 1. Sensorineural deafness